Egg shell calcification in hilar lymph nodes is seen ina) Sarcoidosisb) Histoplasmosisc) Tuberculosisd) Carcinoma lunge) Silicosis
1. bcde
2. abcd
3. abce
4. abde

Correct answer: 3. abce